All of the following reactions are catalysed by microsomal enzymes except
1. Glucuronidation
2. Acetylation
3. Oxidation
4. Reduction

Correct answer: 2. Acetylation

Explanation: Ref-KDT 6/e p25 Most of the Phase 1 reactions and Glucuronide conjugation(phase II reaction)are catalysed by microsomal enzymes.these enzyme can be induced or inhibited by drugs .acetylation is carried out by N-acetyl transferase,a non microsomal enzyme